Thierch graft consists of
1. Only epidermis
2. Epidermis and entire dermis
3. Epidermis and variable portion of dermis
4. Dermis and subcutaneous tissue

Correct answer: 3. Epidermis and variable portion of dermis

Explanation: Thiersch graft is a split thickness skin graft and therefore consists of epidermis and variable portion of dermis.